A sporangium contains -
1. Spherules
2. Sporangiospores
3. Chlamydospores
4. Conidia

Correct answer: 2. Sporangiospores

Explanation: Asexual spores of Phycomycetes (lower fungi), called sporangiospores contained within swollen sac-like structures called sporangia.